The following tumors are seen in metaphysis -a) Osteomyelitisb) Osteosarcomac) Chondrosarcomad) Osteoclastomae)  Ewing's sarcoma
1. a
2. c
3. bc
4. ad

Correct answer: 3. bc

Explanation: Metaphyseal lesions : - Osteogenic sarcoma, Unicameral (simple) bone cyst, Aneurysmal bone cyst, Fibrous cortical defect, Chondrosarcoma, Osteochondroma, Enchondroma, Osteoblastoma
Note :

steomyelitis also occurs at metaphysis. However, question has been asked specifically for bone tumors.
If it would have been 'bone lesions' of metaphysis in the question, then osteomyelitis is also correct.